Joints of hand are not affected in -
1. AS
2. RA
3. OA
4. Psoriatic arthritis

Correct answer: 1. AS

Explanation: Ankylosing spondylitis does not affect hand and foot joint.
OA, RA and psoriatic arthritis affect hand joints.